Active substance in Hashish is
1. Morphine
2. LSD
3. Mescaline
4. TetraHydrocannabinol

Correct answer: 4. TetraHydrocannabinol

Explanation: D i.e. Tetra hydrocannabinol